All of the following are poor prognostic factors for acute myeloid leukemias, except -
1. Age more than 60 years
2. Leucocytes count more than 1,00,000/ 1
3. Secondary leukemias
4. Presence oft (8:21)

Correct answer: 4. Presence oft (8:21)